Which of the following is a major criteria for diagnosis of Rheumatic fever (RF) according to modified Jones criteria
1. Subcutaneous nodules
2. Past history of Rheumatic fever
3. Fever
4. ASO titre

Correct answer: 1. Subcutaneous nodules

Explanation: Jones major criteria of RHD include card it is,chorea,arthritis, subcutaneous nodule, erythema marginatum